Which of the following does NOT have non-keratinized stratified squamous epithelium:
1. Cornea
2. Vagina
3. Esophagus
4. Uterus

Correct answer: 4. Uterus

Explanation: Non-keratinized stratified Squamous epithelium is seen lining the mouth, the tongue, the pharynx, the oesophagus, the vagina and the cornea.